Reichert's cartilage derivative is
1. Incus
2. Malleus
3. Stapes footplate
4. Styloid process

Correct answer: 4. Styloid process

Explanation: Reicha's cartilage is the cartilage of second pharyngeal arch (hyoid arch). It gives rise to Styloid process Stylohyoid ligament Stapes Except foot plate which is derived from otic capsule Lesser cornu and superior part of body of hyoid bone